Plethoric lung fields are seen in all of the following conditions, except -
1. Atrial septal defect (ASD)
2. TAPVC(Total anomalouspulmonary venous connection)
3. Ebstein's anomaly
4. Ventricular septal defect

Correct answer: 3. Ebstein's anomaly

Explanation: Plethoric lung fields are seen in :- AS , VSD, PISA, TAPVC, Truncus arteriosus, single ventricle, TGA, hypoplastic left heart.